The drug of choice for absence seizures-
1. Valproate
2. Gabapentin
3. Carbamazepine
4. Phenytoin

Correct answer: 1. Valproate